Most common testicular tumour in 4th decade is:
1. Teratoma
2. Dermoid
3. Seminoma
4. All of the above

Correct answer: 3. Seminoma

Explanation: Ans. C: Seminoma Peak incidence for teratomas is 20-35 years and for seminomas is 35-45 years Seminoma is rare before puberty.